Hyperbaric oxygen is useful in
1. Tetanus
2. Frostbite
3. Vincent's angina
4. Gas gangrene

Correct answer: 4. Gas gangrene

Explanation: Hyperbaric oxygen is currently considered a primary treatment modality for carbon monoxide poisoning, cerebral arterial gas embolism, osteoradionecrosis, decompression sickness, and clostridial gas gangrene. It is also considered an adjunctive therapy for acute exceptional blood loss anemia, acute thermal burns, compromised skin grafts or skin flaps, crush injury, compartment syndrome, necrotizing soft-tissue infections, non-clostridial gas gangrene, radiation tissue damage, refractory osteomyelitis, selected problem wounds, and intracranial abscesses. Treatment of frostbite injuries with HBO is considered experimental. The treatment protocol for frostbite includes rapid rewarming, close observation, elevation and splinting daily hydrotherapy, and serial debridements.- Ref : Bailey & Love 25/e p39, (24/e p124)